Transfer of drug resistance in staphylococcus is by-
1. Transduction
2. Transformation
3. Conjugation
4. Transfection

Correct answer: 1. Transduction

Explanation: Option 1, 3 Transduction Transfer of bacterial genes from one bacteria to another by bacteriophage. Production of b-lactamase is usually controlled by plasmids MRSA: Production of PBP-2a is by chromosomally coded by mec A gene which alters PBP to PBP-2a Option 2 Transfer of drug resistance in staphylococcus is not done by Transformation. Transformation Process of random uptake of free or naked DNA fragment from the surrounding medium by a bacterial cell and incorporation of this molecule into its chromosome in a heritable form. Eg :: Streptococcus, Bacillus, Haemophilus, Neisseria, Acinetobacter and Pseudomonas. Option 4 Transfection Process of artificially introducing nucleic acids (DNA or RNA) into cells, utilizing means other than viral infection.